A hypertensive patient on medication with beta blocker develops severe bradycardia on taking medicines. Which of the following is least likely to be the responsible agent?
1. Metoprolol
2. Nadolol
3. Pindolol
4. Atenolol

Correct answer: 3. Pindolol

Explanation: Pindolol has intrinsic sympathomimetic acitivity and therefore has lesser risk of causing bradycardia Beta-Blockers with Intrinsic Sympathomimetic Activity (ISA) Preferred in the patients prone to develop severe bradycardia with b blocker therapy. However, these drugs are less useful in angina (because of stimulation of heart by b1 receptors). The drugs can be remembered as * COntain - Celiprolol, Oxprenolol * Partial - Pindolol, Penbutolol * Agonistic - Alprenolol * Activity -Acebutolol